In case of occlusion occurs at the 2nd part of Axillary artery, blood flow is maintained by collateral/ anastomosis between
1. Anterior and posterior circumflex humor and artery
2. Supra scapular and posterior circumflex artery
3. Deep branch of the transverse cervical artery and sub scapular artery
4. Anterior circumflex artery and sub scapular artery

Correct answer: 3. Deep branch of the transverse cervical artery and sub scapular artery

Explanation: Ligation, thrombosis or trauma of axillary artery anywhere between origins of thyrocervical trunk &subscapular arteries will not lead to compromise of distal arm flow.